All of the following are pre-leukemic conditions except
1. Paroxysmal nocturnal hemoglobinuria
2. Paroxysmal cold hemoglobinuria
3. Aplastic anemia
4. Myelodysplastic syndrome

Correct answer: 2. Paroxysmal cold hemoglobinuria

Explanation: - Paroxysmal cold hemoglobinuria aka cold hemolysin disease is associated with cold AIHA (Auto Immune Hemolytic Anemia). Its not pre-leukemic condition. Special antibody seen in this condition is Donath-Landsteiner Ab against P antigen. Most cases are seen in children following viral infections; in this setting the disorder is transient, and most of that affected recover within 1 month. - Remaining all conditions given in options are pre-leukemic conditions.